Commonest presentation of congenital dislocation of the knee is -
1. Varus
2. Valgus
3. Flexion
4. Hyperextens ion

Correct answer: 4. Hyperextens ion

Explanation: The patient presents with hyperextension deformity of the knee.